True regarding neonatal resuscitation – a) Ist nasal suctioning doneb) Ist mouth suctioning donec) Max. length of nasal suctioning is up to 3 cm and mouth suctioning is up to 5 cmd) Max. length of nasal suctioning is up to 5 cm and mouth Suctioning up to 3 cm.
1. a
2. c
3. bc
4. ad

Correct answer: 3. bc

Explanation: Suctioning during resuscitation 

The mouth and nose should be suctioned
The mouth is suctioned first to ensure that there is nothing for the infant to aspirate when the nose is suctioned.
One should not insert the catheter very deep in mouth or nose for suction --> Stimulation of posterior pharynx during the first few minutes after birth can produce a vagal responce, causing severe bradycardia or apnea.
Therefore, during oral suctioning, a suction tube is gently introduced into the baby's mouth until the 5 cm mark is at the baby's lip.
During nasal suctioning, a suction tube is introduced upto 3 cm mark into each nostril.